Which metabolic abnormality is seen in congenital hypertrophic pyloric stenosis?
1. Metabolic Acidosis
2. Metabolic Alkalosis
3. Respiratory Acidosis
4. Respiratory Alkalosis

Correct answer: 2. Metabolic Alkalosis

Explanation: Repetitive vomiting leads to hypochloremic, hypokalemic metabolic alkalosis. The urine is alkaline initially but eventually it becomes acidic (paradoxical aciduria) Cause of paradoxical aciduria Initially the kidney compensate for metabolic alkalosis by reabsorbing hydrogen and chloride ions in exchange for sodium, potassium and bicarbonate. But gradually as the body stores of sodium and especially potassium become depleted, kidney starts retaining these ions in exchange of hydrogen ions, thus the urine becomes acidic and metabolic alkaline state is further aggravated. Reference: SRB edition: 5th page no:830